Activation of the baroreceptor reflex
1. Is primarily involved in short-term regulation of systemic blood pressure.
2. Leads to an increase in heart rate because of inhibition of the vagal cardiac motor neurons.
3. Inhibits neurons in the CVLM.
4. Excites neurons in the RVLM.

Correct answer: 1. Is primarily involved in short-term regulation of systemic blood pressure.

Explanation: The baroreceptors are stretch receptors in the walls of the heart and blood vessels. The carotid sinus and aortic arch receptors monitor the arterial circulation. The baroreceptors are stimulated by distention of the structures in which they are located, and so they discharge at an increased rate when the pressure in these structures rises.